All of the following are the features of Horner's syndrome Except -
1. Ptosis and Miosis in ipsilateral eye
2. Anhydrosis of ipsilateral face
3. Hetrochromia irides
4. Apparent exophthalmos

Correct answer: 4. Apparent exophthalmos

Explanation: Ptosis and Miosis in ipsilateral eye,Anhydrosis Hetrochromia irides and mild enophthalmos . Ref : khurana 6th edition Ref img